On the articulator the incisal guidance is the
1. Horizontal guidance
2. Same as condylar guidance
3. Mechanical equivalent of curve of space
4. Mechanical equivalent of horizontal and vertical over lap

Correct answer: 4. Mechanical equivalent of horizontal and vertical over lap